All are true about the effect of thymectomy, EXCEPT:
1. Thymectomy results in the resolution of pure red cell aplasia in ~30% of patients
2. Hypogammaglobulinemia usually responds to thymectomy
3. Patients with myasthenia gravis have a overt thymoma is present in 10-15% of patients
4. The course of myasthenia gravis is not significantly different in patients with or without thymoma

Correct answer: 2. Hypogammaglobulinemia usually responds to thymectomy

Explanation: FACTS about thymectomy: Patients with myasthenia gravis have a overt thymoma is present in 10-15% of patients The course of myasthenia gravis is not significantly different in patients with or without thymoma. Thymectomy produces at least some symptomatic improvement in 65% of patients with myasthenia gravis. Thymoma patients with myasthenia gravis had a better long-term survival from thymoma resection Thymectomy results in the resolution of pure red cell aplasia in 30% of patients. Hypogammaglobulinemia rarely responds to thymectomy. Ref: Harrison, E-18, chapter e-20.